All of the following statements about Neurofibromatosis are true, except:
1. Autosomal recessive inheritance
2. Cutaneous neurofibromas
3. Cataract
4. Scoliosis

Correct answer: 1. Autosomal recessive inheritance

Explanation: Ans. (a) Autosomal recessive inheritanceRef: Sabiston 19/ep705* Autosomal dominant.* Associated cataract and Scoliosis are seen in NF* Cutaneous Neuro fibromas are seen.